Use of antibiotic in a child with diarrhea is indicated in all of the following situations except?
1. Presence of severe acute malnutrition
2. Strong evidence of systemic infection
3. Rice watery stools and severe dehydration
4. Profuse vomiting associated with loose stools

Correct answer: 4. Profuse vomiting associated with loose stools

Explanation: Indications for antibiotics in a child with diarrhea: Severe malnutrition(majority of these children have associated systemic infections and clinical signs of infection may not be obvious) Evidence of systemic infection Rice watery stools (suggestive of cholera) Presence of dysentery